Which of the following nerve innervates the anterior belly of the digastric muscle?
1. Facial nerve
2. Trigeminal nerve
3. Vagus nerve
4. Abducens nerve

Correct answer: 2. Trigeminal nerve

Explanation: The anterior belly of the digastric muscle is innervated by the mandibular division of the trigeminal nerve. The inferior alveolar nerve which give rise to the mylohyoid nerve innervates the mylohyoid muscle. Ref: Mastery of surgery, Volume 1 edited by Josef E. Fischer, K. I. Bland, Mark P. Callery